Cellular swelling with blebs and myelin Figures are the changes seen in
1. Reversible cell injury
2. Irreversible cell injury
3. Metaplasia
4. Anaplasia

Correct answer: 1. Reversible cell injury